The regional arterial resistance of the mesentery and kidney vessels is reduced by -
1. Dopamine
2. Dobutamine
3. Nor adrenaline
4. Isoprenaline

Correct answer: 1. Dopamine